Toxoids are
1. antigenic and toxic
2. antigenic and non-toxic
3. non-antigenic and toxic
4. non-antigenic and non-toxic

Correct answer: 2. antigenic and non-toxic